A skull with squared orbit & rectangular palate with cephalic index 75 with broad nose, probably the race is.
1. Negroes
2. Mongoloids
3. Europeans
4. Oriental

Correct answer: 1. Negroes

Explanation: A i.e. Negroes